Feathery appearance in jejunum is due to:
1. Valvulae conniventes
2. Haustrations
3. Luminal gas
4. Vascular network

Correct answer: 1. Valvulae conniventes

Explanation: A i.e. Valvulae conniventes